The term 'social medicine' was first introduced by
1. John Snow
2. David Morley
3. Jules Guerin
4. C.E.A. Winslow

Correct answer: 3. Jules Guerin

Explanation: The term social medicine was first introduced by jules Guerin ,a french physician in 1848. Ref : Park's Textbook of Preventive and Social Medicine; 23rd edition